A 17-year-old female was admitted to the hospital with a high fever. Following intravenous administration of antibiotics, a routine CT scan revealed a "thoracic outlet" syndrome. Which symptom would most likely result from this syndrome?
1. Problems with respiration because of pressure on the phrenic nerve
2. Reduced blood flow to the thoracic wall
3. Reduced venous return from the head and neck
4. Numbness in the upper limb

Correct answer: 4. Numbness in the upper limb

Explanation: Thoracic outlet syndrome is characterized by the presence of a cervical rib, accessory muscles, or connective tissue bands that constrict the limited dimensions of the thoracic outlet. The cervical rib is usually located on the C7 vertebra and can impinge on the brachial plexus, resulting in loss of some feeling to the upper limb. There would be no impingement on the phrenic nerve because it leaves C3 to C5 directly parallel with the vertebral column. The syndrome does not include reduction of blood flow to the thoracic wall because of extensive anastomoses between the vessels that supply blood to the anterior thoracic wall. Venous return from the head and neck is mainly through the internal jugular vein and would not be affected because of this vein's location near the midline of the body; thus, it would not be occluded or distended.